The organ of Corti normally contains:
1. A single row of inner hair cells and a single row of outer hair cells
2. 3-4 rows each of inner and outer hair cells
3. A single row of inner hair cells and 3-4 rows of outer hair cells
4. A single row of outer hair cells and 3-4 rows of inner hair cells

Correct answer: 3. A single row of inner hair cells and 3-4 rows of outer hair cells

Explanation: Organ of Corti organ for transduction of sound. Hair cells are receptor cells in organ of Corti There is a single row of inner hair cells (toward the center of cochlea) and 3-4 rows of outer hair cells (on the outer side). Each row contains about 3000 hair cells.